Dialysis is not effective in:
1. Salicylate poisoning
2. Digoxin poisoning
3. Barbiturate poisoning
4. Methanol poisoning

Correct answer: 2. Digoxin poisoning

Explanation: Ans. B: Digoxin poisoning Dialyzable drugs and Poisons: Barbiturates : Phenobarbital -Pentobarbital -Amobarbital Alcohol's : Methanol -Ethanol -Ethylene glycol -Isopropanol Analgesics : Acetylsalicylic acid -Methylsalicylate Metals : Calcium -Potassium -Sodium -Lithium Endogenous toxins : Uric acid -Uremic toxins -Hyperosmolar state Halides : Bromide Miscellaneous : Theophylline -Mannitol -Radiocontrast -Thiocynate - Boric acid -Aniline